Drug of choice for cytomegalovirus retinitis in HIV patients is:-
1. Acyclovir
2. Ganciclovir
3. Amantadine
4. Foscarnet

Correct answer: 2. Ganciclovir

Explanation: Ganciclovir is an analogue of acyclovir which is the most active drugs against CMV. It is activated intracellularly by virus specific thymidine kinase and its triphosphate nucleotide inhibits viral DNA polymerase. CMV retinitis is treated by i.v. infusion of ganciclovir 10 mg/kg/day. This can prevent blindness in AIDS patients. Systemic therapy can be supplemented by intravitreal injection of ganciclovir.